Neuroleptic malignant syndrome is caused by
1. Carbamazepine
2. Clonazepam
3. Haloperidol
4. Fluoxetine

Correct answer: 3. Haloperidol

Explanation: Ans. c (Haloperidol). (Ref. Harrison, Internal Medicine 18th/Table 16-1)Malignant neuroleptic syndrome (MNS)# is a rare dose-related adverse effect of neuroleptics characterised by marked rigidity, immobility, tremors, fever, fluctuating BP and HR, semiconsciousness and myoglobin in blood.# Drugs causing MNS are Phenothiazines; butyrophenones, including haloperidol and bromperidol; fluoxetine; loxapine; tricyclic dibenzodiazepines; metoclopramide; domperidone; thiothixene; molindone; withdrawal of dopaminergic agents.# Drug of choice for Rx of MNS is Dantrolene. (MH 2006); However, bromocryptine may also be of use.